Which type of eclampsia has the worst prognosis:
1. Antepartum
2. Postpartum
3. Intrapartum
4. Imminent

Correct answer: 1. Antepartum

Explanation: Prognosis in eclampsia long interval between onset of fit and commencement of treatment antepartum eclampsia with long delivery interval number of fits more than 10 coma in between fits temperature over 102 degree F with pulse rate above 120/min BP >200mmHg systolic oliguria with proteinuria non response to treatment jaundice D.C.DUTTA'S TEXTBOOK OF OBSTETRICS,Pg no;233,7th edition